What will be the BMI of a male whose weight is 89 kg and height is 172 cm?
1. 27
2. 33
3. 30
4. 36

Correct answer: 3. 30

Explanation: BMI = 89/(1.72)2 = 30.08.